Early Neonatal periods lasts upto:
1. 1st 72 hours of life
2. < 7 days of life
3. Completed 7 days of life
4. < 10 days of life

Correct answer: 2. < 7 days of life

Explanation: Early neonatal period Late neonatal period <7 days or <168 hours of birth 7th - <28th days of birth